Which of the following lesion has radiographic Soap bubble appearance, with a characteristic feature of 'Pumping action'
1. CGCG.
2. Central hemangioma.
3. Ameloblastoma.
4. OKC.

Correct answer: 2. Central hemangioma.

Explanation: "Pumping action" is characteristic clinical feature. If tooth in the region of tumour is pushed into the tumor, it will rebound back to the original.